All are associated with malignancy except-
1. Down's syndrome
2. Fragile X syndrome
3. Bloom syndrome
4. Fanconi 's anaemia

Correct answer: 2. Fragile X syndrome

Explanation: Ans. is 'b' i.e., Fragile X-syndrome Has been explained (see factors predisposing to childhood leukemia).